Most common site of urethral carcinoma in men in:
1. Bulbomembranous urethra
2. Penile urethra
3. Prostatic urethra
4. Fossa navicularis

Correct answer: 1. Bulbomembranous urethra

Explanation: Topic: CARCINOMA OF MALE URETHRA MC site is bulbomembranous urethra > penile urethra > prostatic urethra. - Overall, MC type is SCC > TCC > adenocarcinoma. - MC type of carcinoma prostatic urethra a TCC > SCC. - MC type of carcinoma penile urethra are SCC > TCC. Diagnosis MRI with gadolinium is IOC for evaluating local soft tissue, LN metastasis. Treatment Surgery is mainstay of treatment. Radiotherapy Is also used.